True about posttraumatic stress disorder :
1. Recall of traumatic events
2. Associated with major trauma like pelvic
3. Disturbed sleep
4. All

Correct answer: 4. All

Explanation: A ie. Recall of traumatic events; B i.e. Associated with major trauma; C i.e. Disturb Sleep